Last organ to putrefy after death is
1. Heart
2. Prostate
3. Stomach
4. Brain

Correct answer: 2. Prostate